Which of the following is a selective estrogen receptor modulator?
1. Centchroman
2. Mifepristone
3. Danazol
4. Anastozole

Correct answer: 1. Centchroman

Explanation: Ormeloxifene, also known as centchroman, is one of the selective estrogen receptor modulators or SERMs, a class of medication which acts on the estrogen receptor. It is best known as a nonsteroidal oral contraceptive which is taken once per week. In India, ormeloxifene has been available as birth control since the early 1990s, and it is currently marketed there under the trade name Saheli. Mifepristone is an antiprogestin. Danazol is an anti androgen. Anastrozole is an aromatase inhibitor. (Ref.Essentials of medical pharmacology TD Tripathi 7th edition page no.314)